Giant cell lesions of per-iodontium are best considered as?
1. Benign neoplasms
2. Non-neoplasrn reactive lesions
3. Malignant neoplasm
4. None

Correct answer: 2. Non-neoplasrn reactive lesions